Target magnesium level when used for eclampsia prophylaxis
1. 4.8 → 8.4 mg / dL
2. 2.0 → 4.0 mg / dL
3. 8.4 → 10.0 mg / dL
4. None of the above

Correct answer: 1. 4.8 → 8.4 mg / dL

Explanation: Serum magnesium levels are measured at 4 → 6 hour and adjusted to maintain levels between 4 and 7m Eq / L .